M.C. type of cutaneous T.B. is:
1. Lupus vulgaris
2. Scrofuloderma
3. TIB, verruca cutis
4. Erythema induratum

Correct answer: 1. Lupus vulgaris

Explanation: A (Lupus vulgaris) Lupus vulgaris is the most commonly found form of cutaneous T.B. in adults in a recently published series from India and South Africa and the second most prevalent after Scrofuloderma in a series from U.K. Most common skm tuberculosis | | |Lupus vulgarisScrofuloderma||In adultsIn childrenSccrofuloderma is the commonest form of cutaneous T.B. in childhood in a large series from India and in another series from U.K.